Jumper's fracture is seen in:
1. Calcaneum
2. Tibia
3. Pelvis
4. Neck femur

Correct answer: 3. Pelvis

Explanation: C i.e. Pelvis Forceful axial loading of spine and pelvis may lead to a pelvic ring injuryQ that has been called the "Jumper's fracture" or "Suicidal jumper's fracture". As the name implies the injury is often seen after a fall from a height, as in sucidal attempt, causing dissociation of central portion of sacrum from the lateral portion. Simply put, the patient hits the ground with both feets. The legs, hips, and sacral ala stop immediately, while the sacral body and spinal column keep inoving downward. The sacrum fails at its weakest points, the neural foramina. This mechanism results in a variety of fracture patterns, but the shared finding is the separation of the center of the sacrum from the lateral portions, and often are H or U shaped.